Prolonged administration of Sodium nitroprusside can cause poisoning of:
1. Cyanide
2. Methanol
3. Arsenic
4. Phenol

Correct answer: 1. Cyanide

Explanation: Cyanide poisoning can occur in rapid or excessive administration of sodium nitroprusside. The breakdown of nitroprusside in the body leads to dissociation into the components cyanide and nitric oxide. Accumulation of cyanide is more common in infusions of sodium nitroprusside exceeding 2g/kg/min. Guidelines for safe administration of sodium nitroprusside has been established to prevent the risk of cyanide toxicity: Maximum acute dose: 1.5 mg/kg for 1-3 hours Maximum chronic dose: 0.5 mg/kg/hr